Thickness of wax in inter occlusal records
1. 9 mm
2. 2 mm
3. 2 cm
4. 10 mm

Correct answer: 2. 2 mm